Gypsum bonded investment should not be heated over:
1. 700°C
2. 1,300°C
3. 1,063°C
4. 900°C

Correct answer: 1. 700°C